First web space of foot is supplied by:
1. Common peroneal nerve
2. Superficial peroneal nerve
3. Deep peroneal nerve
4. Sural nerve

Correct answer: 3. Deep peroneal nerve

Explanation: Ans. C Deep peroneal nerveRef: Anatomy of Foot and Anklet pg 12NerveMotor InnervationSensory DistributionCommon peroneal (L4, L5, S1, S2)Deep and superficial peronealArticular branches to knee; anterolateral aspect proximal leg (via lateral sural nerve)Deep peronealTibialis anterior, EDL, EHL, peroneus tertius Lateral branch: EDBMedial branch: Dorsal first web space lateral hallux, medial second toe.Lateral branch: Tarsal and metatarsal jointsSuperficial peronealPeroneus longus and brevisAnterolateral distal two thirds of leg; dorsum of foot and toes